All of the statements are true about ileum except -
1. LN in mesentery
2. 3-6 arcades in continuation
3. Smaller diameter than jejunum
4. Large circular mucosal folds

Correct answer: 4. Large circular mucosal folds

Explanation: Circular folds are smaller and fewer.
There are 3 or 6 arterial arcades with no windows.
The lumen of the ileum is narrower and often loaded.
Mesentery of jejunum and ileum (mesentery proper) contains 100-200 lymph nodes.